Thyroid storm after operation is due to ?
1. Inadequate control of hyperthyroidism
2. Massive bleeding
3. Recurrent laryngeal nerve injury
4. Postoperative infection

Correct answer: 1. Inadequate control of hyperthyroidism

Explanation: Ans. is 'a' i.e., Inadequate control of hyperthyroidism